Glucose transporter in myocyte stimulated by insulin is:
1. GLUT-1
2. GLUT-2
3. GLUT-3
4. GLUT-4

Correct answer: 4. GLUT-4

Explanation: Ans. D. GLUT-4(Ref: Harper 31/e page 179)Glucose transporter which are insulin responsive are GLUT-4, GLUT 8 and GLUT 12.GLUT 4 is present in the Heart, skeletal muscle, adipose tissueGLUT 8 is present in the Testis, blastocyst.GLUT 12 is present Heart, prostate, white adipose tissue, mammary gland